Which of the following is true regarding lung volumes during pregnancy
1. Tidal volume is increased.
2. FRC Increases.
3. Residual volume increases.
4. Lung compliance decreases.

Correct answer: 1. Tidal volume is increased.

Explanation: FRC decreases by 30 % during pregnancy. Residual volume decreases. Lung compliance is unchanged during pregnancy.